In Kartagener syndrome cause of infertility is?
1. Oligospermia
2. Asthenospermia
3. Undescended testis
4. Epididymis obstruction

Correct answer: 2. Asthenospermia

Explanation: (b) Asthenospermia,Ref: Clinical Gynecologic Endocrinology and Infertility, 8th ed.* Kartagener syndrome is also known as primary ciliary dyskinesia.* It is identified as a cause of male infertility as it affects ciliary structure and function and thus causes oligo-asthenospermia (poor sperm motility). It is primarily a disorder of sperm transport so if one option is to be chosen, asthenospermia is the answer of choice.* Affected individuals also have chronic respiratory infections as cilia of respiratory tract are also affected.